In acute inflammation due to the contraction of endothelial cell cytoskeleton, which of the following results?
1. Delayed transient increase in permeability
2. Early transient increase in permeability
3. Delayed permanent increase in permeability
4. Early permanent increase in permeability

Correct answer: 2. Early transient increase in permeability

Explanation: Endothelial cell contraction leading to intercellular gaps in postcapillary venules is the most common cause of increased vascular permeability. Endothelial cell contractionoccurs rapidly after binding of histamine, bradykinin, leukotrienes, and many other mediators to specific receptors, and is usually short-lived (15 to 30 minutes). A slower and more prolonged retraction of endothelial cells, resulting from changes in the cytoskeleton, may be induced by cytokines such as tumor necrosis factor (TNF) and interleukin-1 (IL-1). This reaction may take 4 to 6 hours to develop after the initial trigger and persist for 24 hours or more. ( Robbins Basic Pathology, 9th edition, page 34 )